Sago spleen is a feature of
1. Chronic congestion of spleen
2. Malaria
3. Amyloidosis
4. Pneumocystis carinii

Correct answer: 3. Amyloidosis

Explanation: Ans. c (Amyloidosis). (Ref. Robbin, Pathology 6th ed., 255)# Amyloidosis is deposition of a pathologic proteinacieous substance between cells in various tissues of the body.# In spleen it is characterized by splenomegaly, sagospleen (deposit largely limited to splenic follicles, producing tapioca-like granules on gross inspection), lardaceous spleen (2nd pattern in which amyloid appears to spare the follicles and instead involves the wall of splenic sinuses and connective tissue framework in red pulp, giving rise to large fused map-like areas of amyloidosis). Important pathologic featuresCondition1Lardaceous & Sago spleenAmyloidosis2"Onion skin" spleenSLE3Shrinking lungSLE4Nutmeg liverChronic passive congestion5"Flea bitten" kidneyLocal GN6Thyroidization of kidneyChronic pyelonephritis